Snow ball opacities near the ora serrata are pathognomic of
1. Iridocyclitis
2. Pars Planitis
3. Chorioretinitis
4. Fungal Endophthalmitis

Correct answer: 2. Pars Planitis

Explanation: Anterior uveitis Intermediate uveitis Posterior uveitis Iridocyclitis Pars planitis Vitritis Chorioretinitis Idiopathic Idiopathic Toxoplasmosis Pain: + Redness: + Loss of vision: + Pain: x Redness: x Loss of vision: + Floaters: + Pain: x Redness: x Loss of vision: + Cell in anterior chamber. Keratic precipitates Snow ball & snow banks In toxoplasmosis - headlight in fog Choroiditis Topical steroids Cycloplegics Inj triamcinolone Systemic steroids Antimicrobials